A 50-year-old male known case of myasthenia with erythema shallow erosions with few blisters and scales. Oral mucosa is not involved immunopathology demonstrates IgG deposition on keratinocytes and autoantibodies against Dsg – 1. The diagnosis is –
1. Pemphigus vulgaris
2. Bullous pemphigoid
3. Pemphigus foliaceous
4. Dermatitis herpetiformis

Correct answer: 3. Pemphigus foliaceous

Explanation: In this question :-


Association with mysthenia gravis
Shallow erosions with few blisters
No involvement of oral mucosa
IgG against desmoglein 1 All suggests pemphigous foliaceous :-

All suggests pemphigous foliaceous:-
i)    P. foliaceous is the most common variant of pemphigus which is associated with paraneoplastic pemphigus (eg. thymoma with mysthenia gravis)